Variables in the form of mild,moderate,severe is given.Method used to analyse is
1. Nominal
2. Ordinal
3. Interval
4. Variance

Correct answer: 2. Ordinal

Explanation: Ref:Park's Textbook of Preventive and Social Medicine 25th Ed